Which of the following is used to compare the death rates of two different populations -
1. Crude death rate
2. Age specific death rate
3. Age standardized death rate
4. Proportional mortality rate

Correct answer: 3. Age standardized death rate